Rickettsial pox is caused by ?
1. Rickettsia ricketsiae
2. Rickettsia akari
3. R. Typhi
4. Rickettsia coonri

Correct answer: 2. Rickettsia akari

Explanation: Rickettsial pox caused by R.akari Reference; Park's Textbook of preventive and social medicine, 24th edition.Pg no. 316